Hepatitis B vaccine in adults should be given as:
1. 0,1,2 months
2. 0,1,6 months
3. 0,1,2 years
4. 0,1,6 years

Correct answer: 2. 0,1,6 months

Explanation: Hepatitis B vaccine schedule for adults: 0,1,6 months. (dose: 1 ml each) Hepatitis B vaccine schedule for infants (NIS, India): 6,10,14 weeks or 0,6,14 weeks. (Dose: 0.5 ml each)